20 year old male presented with eczema, recurrent skin abscesses, recurrent lung infections. There is eosinophilia and high serum levels of IgE. Diagnosis is
1. Job's syndrome
2. Shwachwan's disease
3. Wiskott-Aldrich syndrome
4. Nezelof Syndrome

Correct answer: 1. Job's syndrome

Explanation: Job's syndrome or Hyper-IgE Syndrome Characterized by eczema, Staphylococcal skin abscesses, pneumatocele.